Wire loop lesions are seen in?
1. SLE
2. Diabetic nephropathy
3. Benign Nephrosclerosis
4. Wegener s granulomatosis

Correct answer: 1. SLE

Explanation: Ans. (a) SLERef: Robbiris pathology 9th ed. /221-225Sub-endothelial deposits create a homogeneous thickening of the capillary wall called wire loop lesion, which can be seen by means of light microscopy when they are extensive.They usually reflect active disease.